All are histiocytosis except -
1. Letterer siwe syndrome
2. Chloroma
3. Hand schuller christian triad
4. Eosinophilic granuloma

Correct answer: 2. Chloroma